Which of the following is the investigation of choice in a pregnant lady at 18 weeks of pregnancy with past history of delivering a baby with Down's syndrome.
1. Triple screen test
2. Amniocentesis
3. Chorionic villous biopsy
4. Ultrasonography

Correct answer: 2. Amniocentesis

Explanation: Answer is B (Amniocentesis): The ideal investigation in a mother with a pregnancy at risk (previous child with Down's) at 18 weeks gestation is amniocentesis.